Which muscle plays a role in winking
1. Levator labi superioris
2. Orbicularis oculi
3. Corrugator supercilli
4. Levator palpebrae

Correct answer: 2. Orbicularis oculi

Explanation: Ans. is 'b' i.e., Orbicularis oculi